Juene syndrome is
1. Autosomal Recessive
2. Autosomal Dominant
3. X Linked Dominant
4. X Linked Recessive

Correct answer: 1. Autosomal Recessive

Explanation: Juene syndrome : Autosomal recessive disorder. Characterised by typical skeletal dysplasia such as narrow thorax and micromelia with respiratory and renal manifestations. Classic manifestations in infancy include dwarfism with short ribs, short limbs and characteristic radiographic changes in limbs. All patients have small chest but presentation varies. Patients who survive newborn period may later develop pancreatic and renal insufficiency. FIGURE 1 Characteristics of Jeune syndrome. A. Neonate with a bell-shaped chest, protuberant appearing abdomen, and mild shortening of the limbs. B. Radiograph of a neonate portraying the characteristic short, horizontal ribs, costochondral flaring, and handlebar-shaped clavicles associated with Jeune syndrome. Reference: GHAI Essential pediatrics, 8th edition